NADPH used in which pathway-
1. Fatty acid synthesis
2. Gluconeogenesis
3. Beta oxidation
4. Glycogenolysis

Correct answer: 1. Fatty acid synthesis

Explanation: Ans. is 'a' i.e., Fatty acid synthesisUses of NADPH:* Reductive biosynthesis of lipids# Fatty acid synthesis# Cholesterol synthesis# Steroid hormone synthesis# Fatty acid elongation# Bileacid synthesis